The most common variant of malocclusion seen is:
1. Angle's class-I occlusion with anterior crowding
2. Angle's class-I occlusion with posterior crowding
3. Angle's class-II div I
4. Angle's class-II div II

Correct answer: 1. Angle's class-I occlusion with anterior crowding